Cavity with normal depth is closest to pulp in
1. Class I Amalgams
2. Class II Amalgam
3. Class V Amalgam
4. Cast restortion

Correct answer: 3. Class V Amalgam